All of the following are Extrinsic Laryngeal Membranes/Ligaments, except -
1. Hyoepiglottic
2. Cricothyroid
3. Cricotracheal
4. Thyrohyoid

Correct answer: 2. Cricothyroid

Explanation: Extrinsic ligaments/membranes
a. Thyrohyoid membrane (Thyroid cartilage to hyoid bone)

Lateral thyrohyoid ligament
Median Thyrohyoid ligament

b. Hyoepiglottic ligament (Epiglottis to the body of hyoid).
c. Cricotracheal membrane (Cricoid to the first ring of the trachea).
Intrinsic ligaments/membrane
a. Quadrangular membrane

Aryepiglottic ligament (superior border of the membrane)
Vestibular ligament (Inferior border of the membrane)

b. Triangular membrane (cricovocal membrane)

Vocal ligament (Superior end of the membrane)
Cricothyroid ligament (anterior part of the membrane)


Median cricothyroid ligament
Lateral cricothyroid ligament
Thyroepiglottic ligament